The right coronary artery supplies all of the following parts of the conducting system in the heart, EXCEPT:
1. SA Node
2. AV Node
3. AV Bundle
4. Right Bundle branch

Correct answer: 4. Right Bundle branch

Explanation: Branches of the right coronary artery supplies the SA node, AV node and AV bundle. Right bundle branch of atrioventricular bundle is supplied by the left coronary artery. Left bundle branch is supplied by right and left coronary artery. The right coronary artery arises from the anterior aortic sinus of the ascending aorta and runs forward between the pulmonary trunk and the right auricle. It descends almost vertically in the right atrioventricular groove, and at the inferior border of the heart it continues posteriorly along the atrioventricular groove to anastomose with the left coronary artery in the posterior interventricular groove. Branches of right coronary artery are: Right conus artery, anterior ventricular branches, posterior ventricular branches, posterior interventricular artery and atrial branches. Ref: Clinical Anatomy By Regions By Richard S. Snell, 8th Edition, Page 114 ; Clinical Anatomy for Medical Students By Richard S Snell, 6th Edition, Page 103-4